An 18 year old male presented with acute onset descending paralysis of 3 days duration. There is also history of blurring of vision for the same duration. On examination, the patient has quadriparesis with areflexia. Both the pupils are non-reactive. The most probably diagnosis is
1. Poliomyelitis
2. Botulism
3. Diphtheria
4. Porphyria

Correct answer: 2. Botulism

Explanation: Clostridium botulinum produces Type A toxin which is responsible for botulism. It acts by blocking the production or release of acetylcholine at the synapses and neuromuscular junction. Thus block neuromuscular transmission. onset is marked by diplopia, dysphagia, and dysarthria due to cranial nerve involvement. A symmetric descending paralysis is a characteristic pattern, ending in death by respiratory paralysis. Reference: Textbook of Microbiology; Anathanarayan and paniker's; 10th edition; Page no: 269